A 38-year-old woman, G5P4, at 10 weeks with a urine culture grew >100,000 CFU/mL of Escherichia coli. She is otherwise totally asymptomatic with no complaints. Which of the following is the best next step in management of this patient?
1. Amoxicillin-clavulanate
2. Ciprofloxacin
3. No additional treatment or workup indicated
4. Trimethoprim-sulfamethoxazole

Correct answer: 1. Amoxicillin-clavulanate

Explanation: All pregnant patients are screened and treated for asymptomatic bacteriuria at the initial prenatal visit due to the risk of pyelonephritis, preterm birth and low birth weight associated with untreated asymptomatic bacteriuria. The most common pathogen is Escherichia coli. First-line antibiotics include cephalexin, amoxicillin-clavulanate, and nitrofurantoin